Oliguric phase of renal failure, all are true,except -
1. Hypercalcemia
2. Hyponatremia
3. Anaemia
4. Hyperkalemia

Correct answer: 1. Hypercalcemia